All are consistent with Diabetogenic effects of pregnancy except ?
1. Insulin resistance
2. Decrease lipolysis
3. Changes in gluconeogenesis
4. Placental insulinase

Correct answer: 2. Decrease lipolysis

Explanation: Pregnancy has various diabetogenic effects: - Insulin resistance (By production of HPL, Cortisol, Estriol, Progesterone and Placental insulinase) - Increased lipolysis (Mother uses fat for her caloric needs and saves glucose for fetal needs) and - Changes in gluconeogenesis.